During ejaculation, sperms are released from it's storage from which of the structures below?
1. Epididymis
2. Vas deferens
3. Rete testes
4. Seminal vesicle

Correct answer: 1. Epididymis

Explanation: Spermatozoa formed in the testis enter the caput epididymis, progress to the corpus, and finally reach the cauda region, where they are stored. It stores the sperm for 2-3 months. During their transit in the epididymis, sperm undergo maturation processes. During ejaculation, sperm flow from the lower portion of the epididymis (which functions as a storage reservoir).